Green extra articular arthrodesis done for -
1. Genu Valgum
2. Coxa vara
3. Congenital vertical talus
4. Cubitus varus

Correct answer: 3. Congenital vertical talus

Explanation: Ans. is 'c' i.e., Congenital Vertical Talus Grice and Green procedure is an extra articular fusion (arthrodesis) of the subtalar joint. It is used in the treatment of patients of congenital vertical talus between age of 4 to 8 years old along with open reduction of the deformity.